Which of the following is a set point framed for long term plans but is yet something that cannot be quantified or measured?
1. Target
2. Objective
3. Goal
4. Mission

Correct answer: 3. Goal

Explanation: Goal: Ultimate desired state towards which objectives and resources are directed
– Is not constrained by time or existing resources
– Is not necessarily attainable